All the following can be seen in Axenfeld's anomaly, except:
1. Posterior embryotoxon
2. Iris synechiae to Schwalbe's line
3. Ectopia of the lens
4. Glaucoma

Correct answer: 3. Ectopia of the lens

Explanation: Ans. Ectopia of the lens